Cephalo-haemtoma:
1. Is caused by oedema of the subcutaneous layers of the scalp
2. Should be treated by aspiration
3. Most commonly lies over the occipital bone
4. Does not vary in tension with crying

Correct answer: 4. Does not vary in tension with crying

Explanation: Fetal complications with forceps are Transient facial Marks Facial Palsies Fracture of facial and Skull bones. Fetal complications with Vacuum Scalp bruising, abrasion Laceration Sub Galeal hematomas Intracranial Hemorrhage Also neonatal jaundice and retinal hemorrhage is more common with ventouse. Subgaleal Hematomas are due to laceration of the diploic vessels in the loose sub-aponeurotic layer of scalp.The entire scalp may be elevated in this. Tentorial tears are due to mechanical injury to the fetal cranium causing rupture of the deep venous system or laceration of the inferior surface of the cerebellum. Cephalhematoma is generally due to laceration of the blood vessels passing through the periosteal layer and hence the hematoma formed is limited to that particular bone and does not spread across the cranial suture lines. This may also result due to underlying skull fractures. Usually subsides within a few days. Swelling varying in size with crying has to be a swelling which is communicating with the intracranial space, like an encephalocoele.